In a very tall patient with arm span > height the thumb projects beyond palm when flexed. This sign is known as?
1. Arachnodactyly
2. Finger sign
3. Steinberg's sign
4. Wrist sign

Correct answer: 3. Steinberg's sign

Explanation: Ans. (c) Steinberg's sign. * The image shows Thumb sign seen in Marfan syndrome where the hand is clenched without assistance, the entire thumbnail projects beyond the border of the hand (Steinberg's sign) * Other skeletal findings in Marfan's syndrome are 1. Dolichostenomelia (long, thin limbs) 2. Arm span substantially exceeds the height (> 1.05 times height). 3. Long, thin fingers (arachnodactyly) that are hyperextensible. 4. The thumb may be adducted across the narrow palm and may appreciably overlap the 5th finger when encircling the wrist (wrist sign)